All are true about Hypertrophic Obstructive cardiomyopathy, except -
1. β agonists are useful
2. Asymmetrical hypertrophy of septum
3. Dynamic L. V. outflow obstruction
4. Double apical impulse

Correct answer: 1. β agonists are useful